Assessment of obesity by following measurement EXCEPT:
1. Quetelet's index
2. Broca index
3. Corpulence index
4. Sullivan's index

Correct answer: 4. Sullivan's index

Explanation: (Sullivan's index): Ref: (348-Park 20th)SULLIVAN'S INDEX: This index (expectation of life free of disability) is computed by subtracting from the life expectancy the probable duration of bed disability and inability to perform major activitiesIndicator of body weight to assess obesity are1. Body mass index (Quetelet's index) =weight (kg)Height 2. Ponderal index =Height (cm)-----------------Cube root of body weight (kg)3. Broca index = Height (cm) - 1004. Lorentz's formula = Height (cm) - 100Hight(cm)-150------------2(women) or 4 (men) 5. Corpulence index =Actual weight----------Desirable weight* A recent FAO/WHO/UNU Report gives the much needed reference tables for Body mass index which can be used internationally as reference standards for assessing the prevalence of obesity in a community.